Ideal age for PMSTR is
1. < 1 year
2. 1 - 3 years
3. 3 - 6 years
4. 6 - 9 years

Correct answer: 2. 1 - 3 years

Explanation: Answer- B. 1 - 3 yearsPMSTR: Posteromedial Soft tissue release:It is the soft tissue surgical treatment for congenitaltalipesEquinovarus.The results of early operation for treatment of congentialtalipesequino varus, in particular neonatal surgery have not been shown to be better than those of late surgeryDelaying surgery until the child is near walking age has the advantage of operating of larger foot (making surgery easier)Posteromedial soft tissue release (PMSTR), (Turcos) is best done at young age (l-3 years)